Non-osmotic stimulus for ADH secretion is:
1. Uremia
2. Hyperglycemia
3. Haemorrhage
4. Excessive water ingestion

Correct answer: 3. Haemorrhage

Explanation: Haemorrhage causes a loss of blood volume, thus resulting in frank loss of water from the body without any significant protein loss. Ref: guyton and hall textbook of medical physiology 12 edition page number:559,560,561